In EEG which type of waves are seen in metabolic encephalopathy
1. Alpha
2. Beta
3. Gamma
4. Delta

Correct answer: 4. Delta

Explanation: Ans. is 'd' i.e., Delta E.E.G changes in metabolic encephalopathyIn metabolic encephalopathy changes are typically nonfocalo E.E.G. has been widely used to evaluate metabolic encephalopathy.o The E.E.G. findings are abnormal in acute encephalopathic stages.o It is difficult to establish a diagnosis of metabolic encephalopathy with certainity through E.E.G."There is generalized slowing of the E.E.G with an excess of the delta and theta waves with suppression of normal alpha and beta wave activity and occasionally bilateral spikes and waves complexes occurring in absence seizure activityo In metabolic encephalopathies, the E.E.G evolution correlates well with the severity of encephalopathy.o However EEG has little specificity in differentiating etiologies in metabolic encephalopathy.# For example, though triphasic waves are most frequently mentioned in hepatic encephalopathy, they can also be seen in uremic encephalopathy or even in aged psychiatric patients treated with lithium.# Spikes and waves may appear in hypo or hyperglycemia uremic encephalopathy or vitamin deficiencies.Common principles of EEG changes in metabolic encephalopathy are:-o Varied degrees of slowingo Associated mixtures of epileptic dischargeo High incidence of triphasic waveso Reversibility after treatment of underlying causesMetabolic encephalopathyEEGrythmGrade I(almost normal)Dominant activity is alpha rhythm with minimal theta activityGrade II(mildly abnormal)Dominant theta background with some alpha and delta activitiesGrade II(morderately abnormal)Continuous delta activety predominates, little activity of faster frequenciesGrade IV(severely abnormal)Low-amplitude delta activity or suppression-burst patternGrade V(extremely abnormal)Nearly "flat" tracing or electrocerebral inactivity